Inspiratory stridor is due to lesions of:
1. Supraglottis
2. Subglottis
3. Trachea
4. Bronchi

Correct answer: 1. Supraglottis

Explanation: STRIDOR 1. Inspiratory stridor - obstructive lesion of supraglottis of pharynx. 2. Expiratory stridor - lesion of thoracic trachea, primary and secondary bronchi 3. Biphasic stridor - lesion of glottis sub glottis and cervical trachea.